A non-neoplastic hereditary bone lesion, histologically similar to central giant cell granuloma, affects children and shows a bilateral involvement of the jaws with `eye to heaven' appearance clinically is
1. Fibrous dysplasia
2. Cherubism
3. Craniofacial dysostosis
4. Chondro-ectodermal dysplasia

Correct answer: 2. Cherubism